Most important dose limiting toxicity of cancer chemotherapy is
1. Gastronomy toxicity
2. Neurotoxiciity
3. Bone marrow suppression
4. Nephrotoxicity

Correct answer: 3. Bone marrow suppression

Explanation: Depression of bone marrow is usually the most significant dose limiting toxicity with cancer chemotherapy Refer CMDT 2010/1499